Laser trabeculoplasty is indicated in which of the following?
1. Neovascular glaucoma
2. Pseudoexfoliative glaucoma
3. Chronic angle closure glaucoma
4. Uveitic glaucoma

Correct answer: 2. Pseudoexfoliative glaucoma

Explanation: Ans. b. Pseudoexfoliative glaucoma (Ref: Yanoff and Duker 4/e p1072)Laser trabeculoplasty is indicated in Pseudoexfoliative glaucoma.'Argon or selective laser trabeculoplasty can be performed in pseudoexfoliative glaucoma patients if the angle is open enough to allow laser application. Laser trabeculoplasty is reported to have a higher success rate in pseudoexfoliative glaucoma patients than in POAG and therefore is often used earlier in the management of pseudoexfoliative cases.' - Yanoff and Duker 4/e p1072